Which of the following muscle is derived from the 1st arch?
1. Stylopharyngeus
2. Tensor tympani
3. Platysma
4. Cricothyroid

Correct answer: 2. Tensor tympani

Explanation: Human embryology Tenth edition Inderbier Singh Page no 132 First arch: medial and lateral pterygoid, masseter, temporalis, tensor tympani, tensorpalati